Which of the following drugs are used for detrussor instability except
1. Solefenacin
2. Tolterodine
3. Flavoxate
4. Duloxetine

Correct answer: 4. Duloxetine

Explanation: Refer kDT 6/e p 111 Anticholinergic drugs decrease the mobility of urinary tract and thus result in urinary retention (hence contraindicated in BPH) Dicyclomine, flavoxate and oxybutynin are useful for the treatment of urinary incontinence due to detrussor instability Duloxetine is an SSRI used for the treatment of depression